False about Meckel's diverticulum
1. Supplied by omphalomesentric artery, ileal branch of Superior mesenteric artery
2. Most common ectopic mucosa is gastric origin
3. Usually found in the mesenteric border of the ileum
4. Distance from the ileo-caecal valve depends on the age of the patient

Correct answer: 3. Usually found in the mesenteric border of the ileum

Explanation: Answer: c) Usually found in the mesenteric border of the ileum (BAILEY 26TH ED, P-1169)MECKEL'S DIVERTICULUMMost common congenital anomaly of the GITTrue diverticulum (contains all the 3 layers of intestine)Almost always situated at the anti-mesenteric border of small intestine 50-75 cm from the ileocaecal valveRepresents the patent intestinal end of the Vitellointestinal (omphalomesenteric) ductReceives its blood supply from vitelline (omphalomesenteric) artery originating directly from the SMA or from an ileal branch close to its origin from the SMA60% contains heterotopic mucosa (mc-gastric mucosa; pancreatic acini - next most common)Rule of 2: 2% incidence; 2 inches (5 cm) in length; 2 feet proximal to ileo-caecal valve, 2 times common in males, 50% symptomatic by age 2 yearsBecause of lengthening of intestines during growth, they are located at a greater distance from the ileo-caecal valve in adults than in childrenMeckel's diverticulum should be looked for when a normal appendix is found at surgery for suspected appendicitisLittre's hernia - when the content of an inguinal or femoral hernia is Meckel's diverticulumSymptomsPainless rectal bleeding or melena - most common presentation (most likely cause in a child presenting with rectal bleeding and anemia)IntussusceptionMeckel's diverticulitisChronic peptic ulcerationIntestinal obstructionComplicationMost common in children - bleedingMost common in adults - intestinal obstructionMost common neoplasm - carcinoidTechnetium-99m scanning is useful in identifying Meckel's diverticulum as a source of Gl bleeding, is most accurateTreatment: Resection of diverticulum or the segment of intestine containing diverticulumIf silent Meckel's diverticulum is found during the course of an operation, it can be left alone provided it is wide mouthed and not thickened.